Embryo implanted in uterus by ?
1. 14 days
2. 28 days
3. 8 weeks
4. 24 weeks

Correct answer: 1. 14 days